Predisposing cause for Ca. stomach is except -
1. Chr. gastric atrophy
2. Hyperplastic polyp
3. Metaplasia grade III intestine
4. Pernicious anemia

Correct answer: 2. Hyperplastic polyp

Explanation: Of the given options, hyperplastic polyp carries the least risk. In fact it carries a very small risk (< 2%)


Note that if we follow strictly to the terminology mentioned in Maingots & Schwartz, none of the given options are Predisposing factors; all these are premalignant condition. But I think examiners are not rigid about the terminology and consider both predisposing factors and premalignant conditions as one and same thing.